Which of the following is a specific inhibitor of the enzyme alcohol dehydrogenase and is useful in the treatment of methanol poisoning
1. Disulfiram
2. Ethylene glycol
3. Calcium leucovorin
4. Fomepizole

Correct answer: 4. Fomepizole

Explanation: Fomepizole (4-methylpyrazole):- It is a specific inhibitor of alcohol dehydrogenase and the drug of choice for methanol poisoning by retarding its metabolism. Dosage:- A loading dose of 15 mg/kg i.v. followed by 10 mg/kg every 12 hours till serum methanol falls below 20 mg/dl, has been found effective and safe. Ref:- kd tripathi; pg num:-395